Minimal ascites can be best detected by –
1. USG
2. Plain X-ray abdomen
3. MRI
4. CT scan

Correct answer: 1. USG

Explanation: Minimal ascites is detected best by USG.